Best uterine relaxation is seen with ?
1. Chloroform
2. Nitrous oxide
3. Ether
4. Halothane

Correct answer: 4. Halothane

Explanation: Ans. 'd' i.e., Halothane Halogenated inhalational anaesthetic agents like halothane are powerful tocolytic agents. Halothane is anaesthetic of choice for internal version and manual removal of placenta.